The crown size modification technique was given by
1. Bailey & Haskell
2. Hill and Bailey
3. Mink & Pink
4. Mink & Hill

Correct answer: 4. Mink & Hill

Explanation: - Mink and Hill have referred to methods of modifying steel crowns for primary and permanent teeth
- The oversized crown may be cut and the cut edges overlapped.
- The crown is replaced on the tooth to ensure that it now fits snugly at the cervical region, and a scratch is made at the overlapped margin. The crown is removed from the tooth and the overlapped material repositioned and welded. A small amount of solder is flowed over the outside margin. The crown is finished in the previously recommended manner and cemented to the prepared tooth.
- If the dentist encounters a tooth that is too large for the largest crown, a similar technique may be helpful. The crown may be cut on the buccal or lingual surface. After the crown has been adapted to the prepared tooth, an additional piece of 0.004-inch stainless steel band material may be welded into place. A small amount of solder should be added to the outer surface of the margins. The crown may then be contoured in the usual manner, polished, and cemented into place.